The physical quality of life index takes into account all of the following factors except
1. Infant mortality
2. Life expectancy at age one
3. Literacy
4. Income

Correct answer: 4. Income

Explanation: Ref: Parks 23rd edition pg 17 PQLI includes literacy, infant mortality rate and life expectancy at age 1.